A 13-year-old young girl presents in the casualty with acute pain in the lower abdomen. She has history of cyclical pain for last 6 months and she has not attained her menarche yet. On local genital examination, a tense bulge in the region of hymen was seen. The most probable diagnosis is:
1. Mayer Rockitansky Kuster Hauser syndrome
2. Testicular feminization syndrome
3. Imperforate hymen
4. Asherman's syndrome

Correct answer: 3. Imperforate hymen

Explanation: Ans. is c, i.e. Imperforate hymenRef: Shaw 15th/ed, p96-97A young girl who has not attained menarche but has history of cyclical pain for last 6 months, presenting to casualty with acute abdomen and on examination a tense bulge in the region of hymen - clearly point towards "Imperforate hymen" as the diagnosis.